Softening is recommended when hardness of water is more than:
1. 50mg/litre
2. 75mg/litre
3. 100mg/litre
4. 150mg/litre

Correct answer: 4. 150mg/litre

Explanation: Softening is recommended when hardness of water is more than 150 mg/L (> 3mEq/ L). Softening of water is done by Temporary hardness Permanent hardness Boiling Lime NaCo3 Permutit NaC03 Base exchange